Reversible Dementia Is a feature of ?
1. Hyperparathyroidism
2. Hypothyroidism
3. Hyperthyroidism
4. Cushing's disease

Correct answer: 2. Hypothyroidism

Explanation: Ans. is 'b' i.e., Hypothyroidism Causes of reversible dementiao Hypothyroidismo Normal pressure hydrocephaluso Depressiono Drugso Alcoholo Vitamin B12 deficiency